The Following drug is used in management of thyroid storm during pregnancy:
1. Sodium iodide
2. Dexamethasone
3. propanalol
4. All of the above

Correct answer: 4. All of the above

Explanation: Thyroid storm is a rare but life threatening condition. It is diagnosed by features of severe Thyrotoxicosis like hyperpyrexia (>103F) Tachycardia (>140 beats/min) CCF Neuropsychiatric symptoms Nausea and vomitings Management Includes Supportive therapy in an Intensive care unit: fluids and electrolyte balance,O2 therapy and acetaminophen for Hyperpyrexia Management of CCF Beta blockers like propranolol to control hyperdynamic symptoms. Antithyroid drugs like Propylthiouracil and methimazole to block thyroid hormone synthesis Lugols iodine Glucocorticoids to block peripheral conversion of Serum T4 to T3 Reference: DC.Duttas textbook of OBG,9th edition ,page 270